Which of the following is multipennate muscle -
1. FPL
2. EPL
3. Deltoid
4. FHL

Correct answer: 3. Deltoid

Explanation: Ans. is 'c' i.e.. Deltoid Fascicular architecture of skeletal muscleo The major types of arrangement of muscle fibers or fasciculi are1. Parallel fasciculiThe muscle fibers or fasciculi are parallel to line of muscle pull.These muscles contract over a great distance (have maximum range of movement) and have good endurance. They may be -Qudrilateral: Thyrohyoid, pronator quadratus.Stroke-like : Infrahyoid muscles, sartorius.Strap-like with tendinous intersections : Rectus abdominis.Fusiform : Biceps, diagastric.Convergent fasciculiThe muscle fibers or fasciculi converge at the insertion point to maximize contraction. Examples areTriangular : Adductor iongusFan-shaped : TemporalisSpiral and twisted fasciculiMuscle fibers are twisted or spiraled, e.g. trapezius, latissimus dorsi, pectoralis major, supinatorCruciate muscleMuscle fibers or fasciculi are arranged in superficial and deep planes and crossed 'X', e.g. sternocleidomastoid, masseter, adductor magnus.Sphincter fasciculiMuscle fibers or fasciculi surround an opening or orifice, e.g. orbicularis oculi, orbicularis oris.Pennate fasciculiFibers run obliquely to the line of pull, so that muscle looks like the feather . These areUnipennate : Extensor digitorum Iongus, flexor pollicis Iongus, peroneus tertius.Bipenrtate : Flexor hallucis Iongus, dorsal inierossei.Multipennate : Deltoidsubscapularis.Circumpennate : Tibialis anterior.